Drug of choice for Absence attacks is
1. Phenytoin
2. Primidone
3. Ethosuximide
4. Phenobarbitone

Correct answer: 3. Ethosuximide

Explanation: - DOC for Absent seizures: Typical - Ethosuximide Atypical & in India - Sodium valproate If nothing is mentioned in question then DOC is Ethosuximide Drug of choice for: Focal seizures : oxcarbamazepine and carbamazepine; Juvenile myoclonic epilepsy: valproate and lamotrigine; Lennox-Gastaut syndrome: clobazam, valproate, topiramate, lamotrigine, and, most recently, as add on, rufinamide Infantile spasms: adrenocorticotropic hormone (ACTH).